Fetal abdominal circumference is measured at the level of :
1. Stomach and umbilical vein, perpendicular to spine
2. Kidneys
3. Stomach parallel to spine
4. Liver and spleen

Correct answer: 1. Stomach and umbilical vein, perpendicular to spine

Explanation: Abdominal Circumference (AC) is measured in the transverse section of the fetal abdomen at the level of the fetal stomach and the umbilical portion of the portal vein.This is usually affected in IUGR and is less useful in dating as it is the parameter most affected by fetal growth. Refer page no 479 of Text book of obstetrics,sheila balakrishnan 2 nd edition.